In Emergency contraception which progesterone is used
1. Norethisterone
2. Medroxyprogesterone
3. Desogestrel
4. Levonorgestrol

Correct answer: 4. Levonorgestrol

Explanation: In India, levonorgestrel 0.75 mg tablet is approved for emergency contraception It is used as one tablet of 0.75 mg within 72 hours of unprotected sex and the second tablet after 12 hours of first dose Reference : Park's textbook of preventive and social medicine, 23rd edition, Page no: 501